Tuftlin
1. 1st secreted at DEJ
2. Confines to DEJ
3. Pioneer protein
4. All of the above

Correct answer: 4. All of the above